Negative symptoms of schizophrenia are all except:-
1. Over activity
2. Anhedonia
3. Alogia
4. Apathy

Correct answer: 1. Over activity

Explanation: Negative symptoms of Schizophrenia Avolition: loss of drive for meaningful activities. -Apathy: lack of concern. -Anhedonia: lack of pleasure. Asociality: lack of social interaction. Affective flattening/Emotional blunting. Alogia: decreased verbal communication. *Do not respond well to medications. *Poor prognostic factor.